Tachypnoea is associated with the following agent:
1. Ether
2. Halothane
3. Trilene
4. Cyclopropane

Correct answer: 3. Trilene

Explanation: Trilene or trichloroethylene is a good analgesic, less depressant, and non-flammable. Cardiac dysrhythmia, or tachypnoea may occur during administration. It should not be used in the closed circuit as it reacts with soda-lime to produce a toxic gas (phosgene). Recovery is slow and nausea as well as vomiting may be present. It should not be used with adrenaline infiltration lest dysrhythmia be converted to ventricular fibrillation. Ref: Anaesthesia and Resuscitation By Divekar, 2nd edition, Page 26.